Topical beta blocker is the drug of choice of –
1. Angle closure glaucoma
2. Open angle glaucoma
3. Hypopyon corneal ulcer
4. Acute granulomatous uveitis

Correct answer: 2. Open angle glaucoma